Most common site of genitourinary tuberculosis ?
1. Kidney
2. Ureter
3. Bladder
4. Urethra

Correct answer: 1. Kidney

Explanation: Most common site for genitourinary TB is kidney. Tuberculosis of the urinary tract arises from haematogenous infection from a distant focus that is often impossible to identify.Hence it is almost always secondary TB . Lesions usually confined to one kidney. A group of tuberculous granulomas in a renal pyramid coalesces and forms an ULCER. If untreated--TUBERCULOUS ABSCESS The necks of calyces and the renal pelvis stenosed by fibrosis confine the infection---TUBERCULOUS PYONEPHROSIS Extension pf pyonephrosis--PERINEPHRIC ABSCESS Kidney replaced by caseous material--PUTTY KIDNEY Calcified--CEMENT KIDNEY(Plain radiograph-PSEUDOCALCULI) Diagnosis is confirmed on a tuberculin test or atleast three consecutive early morning specimens of urine are examined and cultured. CT urography is most sensitive in identifying all manifestations of renal tb : EARLY ..papillary necrosis resulting in caliectasis . PROGRESSIVE : strictures , hydronephrosis , poorly enhancing paranchyma . END STAGE . thin paranchyma leading due to hydronephrosis , putty kidney ( dystrophic calcification ) Reference : Bailey and Love's short practice of surgery 27th edition . chapter 76 , pg no 1405 Campbell - Walsh urology 11th edition chapter 17 , pg 422